EEG rhythm in full awake and alert state?
1. Alpha
2. Beta
3. Theta
4. Delta

Correct answer: 2. Beta

Explanation: Ans. is 'b' i.e., BetaBeta wave is seen when the person is fully awake and alert and is thinking with maximum concentration.Therefore it is also called arousal or alert response.